Which of the following drugs has a high affinity for 5–HT2 receptors in the brain, does not cause extrapyramidal dysfunction or hematotoxicity, and is reported to increase the risk of significant QT prolongation ?
1. Chlorpromazine
2. Clozapine
3. Olanzapine
4. Ziprasidone

Correct answer: 4. Ziprasidone